All the following are anterior branches of abdominal aorta except ?
1. Coeliac trunk
2. Superior mesentric artery
3. Inferior mesentric artery
4. Inferior phrenic artery

Correct answer: 4. Inferior phrenic artery

Explanation: Inferior phrenic artery is a lateral branch of abdominal aorta.